Anti-epileptic that can be safely used in pregnancy
1. Valproic acid
2. Phenytoin
3. Carbamazepine
4. Lamotrigine

Correct answer: 4. Lamotrigine

Explanation: Valproic acid is strongly associated with an increased risk of adverse fetal outcomes (7-20%). Recent findings from a large pregnancy registry suggest that other than topiramate, the newer antiepileptic drugs are far safer than valproic acid.Enzyme-inducing drugs such as phenytoin, carbamazepine, oxcarbazepine, topiramate, phenobarbital, and primidone cause a transient and reversible deficiency of vitamin K-dependent clotting factors in ~50% of newborn infants.Ref: Harrison 19e 2559